Ibuprofen acts by inhibiting:
1. Lipo oxygenase
2. Cyclo oxygenase
3. Resetting the hypothalamic thermostat
4. Increases the pain threshold

Correct answer: 2. Cyclo oxygenase

Explanation: bRef: KDT, 5th ed, p. 176, 158 & 4th ed, p. 459, 460